RB gene is located on
1. 13q14
2. 14g13
3. 13p14
4. 14p13

Correct answer: 1. 13q14

Explanation: Ans. is 'a' 13q14Retinoblastoma is a prime example of a tumour which is associated with loss of heterozygosity.The mutations required to produce retinoblastomas involve the RB genelocated on chromosome 13 q14.